If there is a Gs alpha subunit gain–of–function mutation,this results in:
1. Decreased cAMP
2. Decreased IP3
3. Increased GTPase activity
4. Increased cAMP

Correct answer: 4. Increased cAMP